5HT1 partial agonists are used as
1. Anti anxiety drugs
2. Antipsychotic drugs
3. Anti reflux medications
4. Anti emetic

Correct answer: 1. Anti anxiety drugs

Explanation: Buspirone, gepirone, spiperone - atypical anti-anxiety agents they do not affect GABA levels- so atypical they are serotonin partial agonists Ref: KD Tripathi 8th ed